Risk factors for post ERCP pancreatitis include all, except
1. Minor papilla sphincterotomy
2. Sphincter of Oddi dysfunction
3. Age <60 years
4. Age > 60 years

Correct answer: 4. Age > 60 years

Explanation: Risk factors for post-ERCP pancreatitis are minor papilla sphincterotomy, sphincter of Oddi dysfunction, prior history of post-ERCP pancreatitis, age <60 years, >2 contrast injections into the pancreatic duct. Reference: Harrisons Principles of Internal Medicine, 18th Edition, Page 2635